Chronic renal failure with inappropriately high haemoglobin levels may be seen with -
1. Hypertensive nephropathy
2. Ischaemic nephropathy
3. Diabetic nephropathy
4. Polycystic renal disease

Correct answer: 4. Polycystic renal disease